Which of the following statements is false about sickle cell disease?
1. Sickle cell trait confers protective effect against malaria
2. Replacement of glutamic acid by valine at b6 position
3. Hyposthenuria
4. Hemolysis is predominantly intravascular

Correct answer: 4. Hemolysis is predominantly intravascular

Explanation: Sickle cell anemia is autosomal recessive condition caused d/t point mutation resulting in replacement of glutamic acid by valine at 6th position of b globin chain Chances of sickling increases by hypoxia & dehydration. Sickling is protective against malaria Irreversibly sickled cells, are rapidly sequestered and removed by mononuclear phagocytes especially in the spleen leading to extravascular hemolysis. Sickling provoked by hypertonicity in the renal medulla causes damage that eventually leads to hyposthenuria (the inability to concentrate urine), which increases the propensity for dehydration